'Endemic Disease' means that a disease:
1. Occurs clearly in excess of normal expectancy
2. Is constantly present in a given population group
3. Exhibits seasonal pattern
4. Is prevalent among animals

Correct answer: 2. Is constantly present in a given population group

Explanation: Endemic refers to the constant presence of a disease or infectious agent within a given geographic area or population group without importation from outside. Ref: Park's Textbook Of Preventive And Social Medicine By K. Park, 19th Edition, Page 88; Park's Textbook Of Preventive And Social Medicine By K. Park, 18th Edition, Page 86